Which of the following is true about rheumatic fever
1. Characteristic manifestation of carditis in previously unaffected individuals is mitral stenosis
2. Chorea occurs in the absence of other manifestations after prolonged latent period
3. Isolated aortic valve involvement is most common
4. 90% of the patients with acute rheumatic fever proceed to rheumatic ea disease

Correct answer: 2. Chorea occurs in the absence of other manifestations after prolonged latent period

Explanation: Answer- B. Chorea occurs in the absence of other manifestations after prolonged latent periodAcute rheumatic fever (ARF) is a multisystem disease resulting from an autoimmune reaction to infection with group A streptococcus.The endocardium, pericardium, or myocardium may be affected. Valvular damage is the hallmark of rheumatic carditisThe mitral valve is almost always affected, sometimes together with the aortic valve; isolated aortic valve involvement is rare.Early valvular damage leads to regurgitation.usually as a result of recurrent episodes, leaflet thickening, scarring, calcification, and valvular stenosis may develop.Therefore the characteristic manifestation of carditis in previously unaffected individuals is mitral regurgitation, sometimes accompanied by aortic regurgitation.